Reversible cause of dementia is
1. Hypothyroidism
2. Alzheimer's disease
3. Huntington chorea
4. Vitamin A deficiency

Correct answer: 1. Hypothyroidism

Explanation: Dementia Types:- The dementia can be divided in to reversible and irreversible dementias. It is extremely important to do detailed work up of a patient of dementia as around 15% of cases are reversible. The reversible causes of dementia are:- A. Neurosurgical conditions (subdural hematoma, normal pressure hydrocephalus, intracranial tumors, intracranial abscess). B. Infectious causes (meningitis, encephalitis, neurosyphilis, lyme disease). C. Metabolic causes (vitamin B12 or folate deficiency, niacin deficiency, hypo and hyperthyroidism, hypo and hyperparathyroidism D. Others (drugs and toxins, alcohol abuse, autoimmune). Ref:- Psychiatry by Sandeep Govil; pg num:- 35